Most important change to occur in irreversible cell injury -
1. Decreased basophillia
2. Pyknosis
3. Accumulation of myelin figures
4. Membrane damage

Correct answer: 4. Membrane damage

Explanation: Ans is 'd' i.e. Membrane damage Membrane damage is the central pathogenic process in irreversible injury.